The effect of chilling in refrigeration analgesia includes
1. Interference with conduction of nerve impulse
2. Reduction of metabolic rate and oxygen requirement
3. Inhibition of bacterial growth and infection
4. All of the above

Correct answer: 4. All of the above

Explanation: For chilling analgesia (cryoanalgesia) CO2 or N2O is used. At such low temperatures there is inhibition of nerve conduction producing analgesia. Hypothermia decreases metabolic rate and oxygen consumption of tissue. Hypothermia inhibits the bacterial growth. Healing is also retarded at low temperatures.